A 30 year old unmarried woman from a low socioeconomic status family believes that a rich boy staying in her neighbourhood is in deep love with her. The boy clearly denies his love towards this lady. Still the lady insists that his denial is a secret affirmation of his love towards her. She makes desperate attempts to meet the boy despite resistance from her family. She also develops sadness at times when her effort to meet the boy does not materialize. She is able to maintain her daily routine. She however, remains preoccupied with the thoughts of this boy. She is likely to be suffering from :
1. Delusional disorder
2. Depression
3. Mania
4. Schizophrenia

Correct answer: 1. Delusional disorder

Explanation: A i.e. Delusional disorder This lady is suffering from erotomanic delusional disorder in which the content of delusion is that another person usually of higher status, is in love with the individual.